Haldane effect
1. Effect of 2,3 -BPG
2. Dissociation of CO2 on oxygenation
3. Dissociation of O2 on addition of CO2
4. Chloride shift

Correct answer: 2. Dissociation of CO2 on oxygenation

Explanation: Because deoxyhemoglobin binds more H+ than oxyhemoglobin does and forms carbamino compounds more readily, binding of O2 to hemoglobin reduces its affinity for CO2 (Haldane effect).Ref: Ganong review of medical physiology 23rd edition Page no: 612